Obsolete method for testing tubal patency is :
1. Hystero salpingogram
2. Chromo salpingogram
3. Rubin's test
4. None of the above

Correct answer: 3. Rubin's test

Explanation: Rubin's test